Lamin is present in:
1. Basement membrane.
2. Inner nuclear membrane.
3. Outer nuclear membrane.
4. Mitochondria.

Correct answer: 2. Inner nuclear membrane.

Explanation: Harper – 578
Lamins for a meshwork in opposition to the inner nuclear membrane. The distribution of intermediate filaments in normal and abnormal (eg, cancer) cells can be studied by the use of immunofluoroscent techniques, using antibodies of appropriate specificities.